Preganglionic parasympathetic nerve fiber which supply pelvic viscera is/are;
1. Ventral rami of S2,3,4
2. Hypogastric plexus
3. Pudendal nerve
4. All

Correct answer: 1. Ventral rami of S2,3,4

Explanation: A. i.e. Ventral rami of Sz, S3 and S4